Mees lines are characteristic of which poisoning?
1. Phosphorus
2. Arsenic
3. Lead
4. Thalliam

Correct answer: 2. Arsenic

Explanation: Mes line(Aldrich mees line) are very charactristic of Arsenic poisoning.They are white bands of opacity in the nails of fingers and toes.